Transfer factor is an example of
1. Innate immunity
2. Adoptive immunity
3. Natural active immunity
4. Artificial active immunity

Correct answer: 2. Adoptive immunity

Explanation: Adoptive immunity occurs following injection of immunologically competent T-Lymphocytes known as transfer factor.